Which of the following special amino acid is not formed by post-translational modification?
1. Triodothyronine
2. Hydroxyproline
3. Hydroxylysine
4. Selenocysteine

Correct answer: 4. Selenocysteine

Explanation: Ans. D. SelenocysteineSelenocysteine is formed by cotranslational modification. All others are derived amino acids. Derived amino acids are formed by post-translational modification.